Which vaccine(s) is/are not contraindicated in pregnancy ?
1. Rubella
2. Varicella
3. Hepatitis B
4. Measles

Correct answer: 3. Hepatitis B

Explanation: Ans. is 'c' i.e., Hepatitis B